Delusion of infidelity of part of the sexual partner is known as:
1. De Clerambault's syndrome
2. Couvade syndrome
3. Othello syndrome
4. Ekbim's syndrome

Correct answer: 3. Othello syndrome

Explanation: C. i.e. Othello syndrome